Most important prognostic factor of cancer esophagus:
1. Length of growth
2. Depth of involvement
3. Histology grading
4. Immunohistochemistry

Correct answer: 2. Depth of involvement

Explanation: Ans. (b) Depth of invasionRef: Bailey and Love 27th Edition, Page 1085 Prognostic factors of cancer esophagus:* Depth of invasion* Lymph node status* Presence of distant metastasis* Resection margin* Serosal or Peritoneal involvement* Vascular invasion